Not a function of district blindness control society
1. Training of ophthalmologists
2. Financial and material management
3. Social mobilization
4. Creating public awareness

Correct answer: 1. Training of ophthalmologists

Explanation: Training of ophthalmologists are included in the tertiary care hospitals District blindness Control Society * Planning -preparation of district Micro-plan * Implementation of programme * Monitoring of programme * Financial and material management * Social mobilization * Creating public awareness * Procurement of consumable and non-consumable items * Arrangement of screening camp * Record keeping and maintaining